Phenol test or Reidel Walker test is done to determine:
1. Hardness of water
2. Chlorine demand
3. Quality of disinfectant
4. Efficacy of a disinfectants

Correct answer: 4. Efficacy of a disinfectants

Explanation: Ans. d. Efficacy of a disinfectants